Squamous cell carcinoma of maxilla T3N0M0 staging. Treatment is -
1. Radiotherapy
2. Maxillectomy
3. Radiotherapy and maxillectomy
4. Maxillectomy and chemotherapy

Correct answer: 3. Radiotherapy and maxillectomy